Most common manifestation of HPV infection in children :
1. Single papilloma
2. Multiple papillomatosis
3. Osteoma
4. Sarcoma

Correct answer: 2. Multiple papillomatosis

Explanation: Multiple warts are common.